Characteristic feature of Otosclerosis are all except:
1. Conductive deafness
2. Positive Rinne's test
3. Paracusis willisii
4. Mobile ear drum

Correct answer: 2. Positive Rinne's test

Explanation: Tuning Fork Tests in OtosclerosisRinnes test-negativeWebers test-lateralised to ear with greater conductive lossAbsolute bone conduction-normal (It is decreased in cochlear otosclerosis)Pure tone audiometry-shows loss of air conduction more for lower frequency. * Tympanic membrane is normal and mobile in 90% cases. Schwartz sign--Flammingo cases pink colour of tympanic membrane is seen in 10% cases. It indicates active focus with increased vascularity.Stapes footplate--Shows a rice grain / biscuit type appearanceBlue mantles are seen histopathologically.